Surface hemagglutination with adherence to glycoprotein act in
1. Herpes virus
2. Influenza virus
3. Hepatitis-B virus
4. Cytomegala virus

Correct answer: 2. Influenza virus

Explanation: (Influenza virus) (428-30- Ananthanarayanan 8th)* In the case of the Influenza viruses, the hemagglutinin on the virus surface gets attached to glycoprotein receptor sites on the surface of the respiratory epithelium.Other examples are, Human immuno deficiency virus, poliovirus* Haemagglutin - surface antigen, strain specific, Antibody against this protective* Neuraminidase - surface antigen, strain specific, Antibody not protective* Hemagglutin - is glycoprotein, responsible for hemagglutination and hemadsorption* Neuraminidase - is glycoprotein enzyme which destroys cell receptors by hydrolytic cleavageAntigenic shifts - (Influenza virus A) are because of genetic ressortment b/w human and avian virusesAntigenic drifts - (Influenza A & B) are because of point mutation during viral replication causes smaller epidemic only* The phenomenon of genetic reassortment - can occure during influenza virus replication (Pandemic strain)* Von- magnus-phenomenon - virus yield has high hamagglutination titre but low infectivity* H5N1 is the Avian flue Influenza- A virus also called the Bird flue virus*** Micro-organism used as weapon in biological terrorism is small pox virus**Emerging or Resurging diseases are* Nipah virus** H5N1** nv CJD. Australian bat Lyssa virus* Ebola virus* Hanta virus* E. coli - 0157; H7 strain* West Nile virus** SARS* Pertussis, diphtheria, anthrax, lagionaire's disease, pandemic cholera, lassa fever, Rift valley fever, VRSA, and yellow fever* Rey's syndrome is commonly caused by Influenza type B* Influenza vaccines administered through nasal drops* Newer influenza vaccines - split virus vaccine, Neurominidase specific vaccine, Recombinant vaccinePost exposure prophylaxis is used in* HIV* Hepatitis A and B* Rabies* Tetanus* H. influenza (HIb)* Meningococcus* Influenza-A* Measles